A 35-year-old man comes to the physician because of a lump in his neck. Examination shows 
a thyroid nodule, Laboratory studies show serum calcitonin is elevated, and serum calcium is 
normal 
Despite high serum calcitonin levels, which of the following mechanisms best explains the normal calcium levels in this patient?
1. Concurrent parathyroid adenoma
2. Concurrent parathyroid hyperplasia
3. High levels of calcitonin down reQulates its receptor
4. Increase in PTH in response to hypocalcemia

Correct answer: 3. High levels of calcitonin down reQulates its receptor